Beri-beri is caused due to the deficiency of:
1. Thiamine
2. Pyridoxine
3. Ascorbic acid
4. Riboflavin

Correct answer: 1. Thiamine